Only sensory branch of anterior division of mandibular nerve is:
1. Auriculotemporal nerve
2. Lingual
3. Long buccal
4. Inferior alveolar

Correct answer: 3. Long buccal

Explanation: Buccal branch of the mandibular nerve is purely sensory and is the only purely sensory branch of the anterior division of mandibular nerve.